Branchial cleft anomalies are present at birth or shortly after birth. Which of the following is TRUE about branchial anomaly?
1. Fistulas are more common than cysts
2. For sinuses surgery is not always indicated
3. Cysts present with dysphagia and hoarseness of voice
4. Most commonly due to 2nd branchial remnants

Correct answer: 4. Most commonly due to 2nd branchial remnants

Explanation: The usual course of branchial cleft apparatus anomalies is recurrent infection. These masses may present in the neck as a discrete fullness along the anterior border of the sternocleidomastoid. Cysts are more common than fistulas or sinuses. The majority of branchial cleft cysts arise from the second branchial cleft, with the remainder arising from the first branchial cleft. Third and fourth branchial cleft anomalies are very rare. Surgical excision is performed early rather than later to better ensure that excision is complete. Ref: Otolaryngology: The Essentials edited by Allen M. Seiden, 2002, Page 491.